A 68-year-old male patient with 3rd degree burn wounds affecting 25% TBSA was admitted in the hospital and treated with intravenous fluids and analgesics. After 8 days of hospital admission, the patient develops fever and leukocytosis. On examination, there is erythema and swelling around the wound. Exudate from this wound is positive for gram negative, oxidase positive bacilli, which does not ferment sugars. Culture is shown below. Drug of choice for this infection is: -
1. Amoxicillin-Clavulinic acid
2. Cefepime
3. Ceftriaxone
4. Streptomycin

Correct answer: 2. Cefepime

Explanation: Infection of a burn wound after 8 days of hospital admission by gram negative, oxidase positive, non-fermenter bacilli point towards diagnosis of a pseudomonas infection. Culture plate shows the pigment production by P. aeruginosa Cefepime has good activity against PSEUDOMONAS aeruginosa Enterobacteriaceae Methicillin-susceptible Staphylococcus aureus Streptococcus pneumonia Hemophilus species Neisseria species It penetrates well into CSF. It is excreted by the kidneys. Half-life is 2 hours. The standard dose for cefepime : 1-2 g infused every 12 hours more complicated infections or immune-compromised patient : 2 g every 8 hours. List of anti-pseudomonal drugs- treasure 30 (pharmacology)